Four dentists did study model analysis by Johnson and Tanaka; Moyer's, Stanley and Kerber, Wits analysis. Which one will give the best results:
1. Johnson and Tanaka
2. Moyers
3. Stanley and Kerber
4. Wits

Correct answer: 3. Stanley and Kerber